Strategies for prevention of Neonatal Tetanus include all of the following except -
1. 5 clean practices
2. Giving penicillin to all the new borns
3. 2 doses of TT to all pregnant women
4. Immunizing all married women

Correct answer: 2. Giving penicillin to all the new borns

Explanation: Ans. is 'b' i.e., Giving pencillin to all neonates Giving Pencillin to all neonates is not a strategy for prevention of neonatal tetanus Prevention of Neonatal Tetanus : Strategies Training birth attendants, providing home delivery kits and educating women about the 'Three Cleans' (this alone can reduce preonatala tetanus by 90 percent : Operational Research), same times also called 5 cleans. Administration of Tetanus toxoid to pregnant women Administration of tetanus toxoid to all women of child bearing age This strategy may be adopted in areas where : Incidence of neonatal tetanus is high Coverage of antenatal case is low 4. Administration of An itoxin to unprotected Neonates within 6 hours of birth. Infant born to mothers who have not previously recieved 2 doses of tetanus toxoid are exposed to risk of neonatal tetanus. They can be protected by injection of antitoxin within 6 hours of birth (Heterologous serum 750 IU).